Commonest manifestation of retinoblastoma is ?
1. Pseudohypopyon
2. Leukocoria
3. Squint
4. Nystagmus

Correct answer: 2. Leukocoria

Explanation: Ans. is 'b' i.e., Leukocoria Leukocoria or amauratic cat's eye reflex this is the most common manifestation. The leukocoria or the white glow in the pupil is caused by reflection of light from the white intraocular tumor.